Which of the following antibiotics is effective in treating oral candidiasis?
1. Nystatin
2. Bacitracin
3. Penicillin
4. Tetracycline

Correct answer: 1. Nystatin